Indirect coomb’s test detects
1. Incomplete antibody bound to RBC
2. Free antibody
3. Free agglutinable RBCs
4. None of the above

Correct answer: 2. Free antibody

Explanation: Direct coomb’s test detects antibodies bound to RBC.
Indirect coomb’s test detect free antibodies.